Treponema pallidum was discovered by -
1. Robert Koch
2. Twort
3. Schaudinn and Hoffman
4. E Herman

Correct answer: 3. Schaudinn and Hoffman

Explanation: Ans. is 'c' i.e., Schaudinn and Hoffman BacteriaDiscovered byLepra bacillus (M. Leprae)Hansen (1874)GonococcusNeisser(1879)StaphylococcusOgston(1881)Diphtheria bacillus (C. Diphtheria)Loeffler(1884)Tetanus bacillus (C. Tetani)Nicolaier(1884)PneumococcusFraenkel (1886)Causative organism for Malta fever (Brucella)Bruce(1887)Spirochete of syphilis (T pallidum)Schaudinn and Hoffmann (1905)